When was HIV virus discovered?
1. 1983
2. 1976
3. 1969
4. 1992

Correct answer: 1. 1983

Explanation: Ans. is 'a' i.e., 1983(Ref: Harrison, 18th/e, p. 3146)* In 1983, human immunodeficiency virus (HIV) was isolated from a patient with lymphadenopathy, and by 1984 it was demonstrated clearly to the causative agent of AIDS.